Gerlach tonsil in waldayers ring is:
1. Tubal tonsil
2. Palatine tonsil
3. Pharyngeal tonsil
4. Lingual tonsil

Correct answer: 1. Tubal tonsil

Explanation: Waldayers ring Contents Pharyngeal Tonsil (Adenoids) Tubal Tonsils (Gerlach's Tonsils) Palatine Tonsils (The Tonsils) Lingual Tonsils